Ω Omega shaped epiglottis is seen in
1. Acute epiglottitis
2. Croup
3. Laryngomalacia
4. Bronchiolitis

Correct answer: 3. Laryngomalacia

Explanation: On Laryngoscopy, Omega shaped epiglottis is seen in laryngomalacia.